Which of the following is most important for sodium and water retention in response to hypovolemia?
1. Renin-Angiotensin system
2. ADH
3. Aldosterone
4. ANP

Correct answer: 1. Renin-Angiotensin system

Explanation: The renin-angiotensin system plays a key role in body's response to hypovolemia. The plasma concentration of renin is the rate limiting step in the renin-angiotensin system; it is the major determinant of plasma angiotensin II concentration. Angiotensin II stimulates the aldosterone and ADH secretion; it also constricts the blood vessels and causes thirst, which helps in maintaining blood pressure. Ref: Ganong's Review of Medical Physiology 26th edition Pgno: 689,690